Ratio of ventilation to cardiac compression in adult CPR with two rescuers is:
1. 1:15
2. 2:30
3. 30:02:00
4. 2:10

Correct answer: 2. 2:30

Explanation: During cardiopulmonary resuscitation of adults,the ratio of chest compression to rescue breaths is 30:2 irrespective of the number of rescuers. High-quality CPRinvolves adequatechest compressions to a depth of at least 5 cm in adults. In infants and children, the ratio is 30:2 for a single rescuer and 15:2 if 2 or more rescuers are present. NOTE THAT IN QUESTION: VENTILATION : COMPRESSION is asked so.. , ratio will be 2:30